The following are associated with endocytosis:
1. Clathrin
2. Megalin
3. SNARE proteins
4. Both 1 and 2

Correct answer: 4. Both 1 and 2

Explanation: Endocytosis is mediated by clathrin and megalin SNARE proteins are associated with exocytosis Both are active vesicular transport systems